Side effect of halothane countered by atropine is
1. Bradycardia
2. Hypotension
3. Hyperthermia
4. Constipation

Correct answer: 1. Bradycardia

Explanation: Halothane usually causes sinus or nodal bradycardia which is reversed by atropine. Ref katzung 12th ed.